Regarding International Classification of Diseases untrue is
1. Revised every 10 years
2. 10th revision has 15 major chapters
3. Is base for use in other health fields
4. Coding system in 10th revision is alpha numerical

Correct answer: 2. 10th revision has 15 major chapters

Explanation: Ans. b (10th revision has 15 major chapters) (Ref. Park PSM 22nd/ 47)INTERNATIONAL CLASSIFICATION OF DISEASES (ICD)# It is conducted by the WHO every 10 years and accepted for national and international use.# Since its inception, ICD has been revised about once every 10 years; the latest revision, the 10th revision, came into effect on January 1, 1993.# Earlier, the scope of ICD was expanded in the sixth revision in 1948 to dentistry, oncology, and ophthalmology.# As in previous revisions, the ICD-10 is arranged in 21 major chapters.# It is a base for use in other health fields.International Statistical Classification of Diseases and Related Health Problems 10th Revision; Version for 2007 (ICD Code 10)ChapterTitleICertain infectious and parasitic diseasesIINeoplasmsIIIDiseases of the blood and blood-forming organs and certain disorders involving the immune mechanismIVEndocrine, nutritional and metabolic diseasesVMental and behavioural disordersVIDiseases of the nervous systemVIIDiseases of the eye and adnexaVIIIDiseases of the ear and mastoid processIXDiseases of the circulatory systemXDiseases of the respiratory systemXIDiseases of the digestive systemXIIDiseases of the skin and subcutaneous tissueXIIIDiseases of the musculoskeletal system and connective tissueXIVDiseases of the genitourinary systemXVPregnancy, childbirth and the puerperiumXVICertain conditions originating in the perinatal periodXVIICongenital malformations, deformations and chromosomal abnormalitiesXVIIISymptoms, signs and abnormal clinical and laboratory findings, not elsewhere classifiedXIXInjury, poisoning and certain other consequences of external causesXXExternal causes of morbidity and mortalityXXIFactors influencing health status and contact with health servicesXXIICodes for special purposes